Which of the following statement regarding COPD is true?
1. Decrease FEV1
2. Increased RV
3. Diffusion capacity is decreased
4. All of the above

Correct answer: 4. All of the above

Explanation: Spirometry findings in COPD includes reduced FEV1 and a reduced FEV1 / FVC ratio. Diffusion capacity for carbon monoxide reflects the ability of lung to transfer gas across alveolar/capillary interface. Diffusion capacity is low in patients with emphysema and infiltrative lung diseases. It is increased in patients with pulmonary hemorrhage, congestive heart failure and asthma. Reference: Current Medical Diagnosis and Treatment 2013, chapter 9.